The 'Phenomenon of Kernohan's Notch' is associated with:
1. Third nerve palsy with contalateral hemiplegia
2. Subfalcine herniation
3. Transtentorial herniation
4. Foramen magnum fracture

Correct answer: 3. Transtentorial herniation

Explanation: Kernohan's Notch Phenomenon Kernohan's notch is a cerebral peduncle indentation associated with some forms of transtentorial herniation (uncal herniation) Compression of the contralateral cerebral peduncle against the free edge of the tentorium (Kernohan's notch) causes an ipsilateral hemiparesis with ipsilateral 3rd nerve palsy Ref: Harrison 19th edition Pgno: 1772